A lesion of the optic radiation involving the Meyer's loop causes-
1. homonymous hemianopia
2. Superior quadrantopia
3. Inferior quadrantopia
4. central scotoma

Correct answer: 2. Superior quadrantopia

Explanation: B i.e. Superior quadrantopia